Aperson is on intensive chemotherapy, which vaccine is contraindicated in this circumstance ?
1. MMR
2. Hepatitis B
3. Pneumococcus
4. DPT

Correct answer: 1. MMR

Explanation: Ans. is 'a' i.e., MMR o Live vaccines (MMR, Varicells zoster, BCG, LAIV) should be postponed until after chemotherapy or long-term high? dose steroid therapy has ended. Note : LAIV is live attenuated influenza vaccine. o Live attenuated vaccine should not be used in immunocompromized patients -4 The virulence of organism has been reduced, it is non-pathogenic in immunocompetent patients. In immunocompromized patients this reduced level may be pathogenic i.e., It can produce disease in immunocompromized patients. o So, live attenuated vaccines are contraindicated if the patient is immunocompromised due to : Corticosteroid therapy Anticancer therapy (alkylating agents) Severe malnutrition Congenital immunodeficiency (Hypogammaglobulinemia) Symptomatic HIV infection Lymphoma or generalized malignant disease o Only absolute contraindication to killed vaccines is severe local or general reaction to previous dose.